Aldosterone is secreted by:
1. Pituitary
2. Zona glomerulosa
3. Zona fasciculate
4. Adrenal medulla

Correct answer: 2. Zona glomerulosa

Explanation: Adrenal gland is divided into adrenal cortex and adrenal medulla, the cortex is further subdivided into 3 parts, listing them from outside to inside for production of different hormones.
Zona Glomeruosa : Mineralocorticoids
Zona Fasciculata : Glucocorticoids
Zona Reticuaris : Sex Steroids Also Know

Aldosterone : ↑Conn's
                      ↓Addisons
Cortisol : ↑Cushing syndrome
Sex Sterioids hyperplasia : ↑Congenital adrenal
                                            ↓ Hypogonadism
Medulla Tumour : Pheochrom cocytoma